Spinnaker Sail sign is seen in
1. Pneumo mediastinium
2. Pseudo pneumo mediastinium
3. Pleural effusion
4. Pulmonary infarct

Correct answer: 1. Pneumo mediastinium

Explanation: Pneumo mediastinium

Ring around the artery sign
Spinnaker sail sign
Continuous diaphragm sign